Neurofibromatosis presents as all of the following except -
1. Elephantiasis neuromatodes
2. Plexiform neuroma
3. Von Recldinghausen's disease
4. Lymphadenovarix

Correct answer: 4. Lymphadenovarix

Explanation: • Elephantiasis neuromatosa is the most impressive manifestation of NF-1.